A 32 year old male patient treated for high blood pressure with thiazides. Which of the following effect can happen in this patient?
1. Hyperkalemic paralysis
2. Hypouricemia
3. Hypolipidemia
4. Impotence

Correct answer: 4. Impotence

Explanation: The incidence of erectile dysfunction is greater with thiazides than with several other antihypertensive agents (e.g., beta adrenergic receptor antagonists, Ca2+-channel blockers, or angiotensin converting enzyme inhibitors). Other side effects include, CNS (e.g., vertigo, headache, paresthesias, xanthopsia, and weakness) GI (e.g., anorexia, nausea, vomiting, cramping, diarrhea, constipation, cholecystitis, and pancreatitis) Hematological (e.g., blood dyscrasias) Dermatological (e.g., photosensitivity and skin rashes) Fluid and electrolyte imbalanceS (extracellular volume depletion, hypotension, hypokalemia, hyponatremia, hypochloremia, metabolic alkalosis, hypomagnesemia, hypercalcemia, and hyperuricemia) Increase in plasma levels of LDL cholesterol, total cholesterol, and total triglycerides Ref: Reilly R.F., Jackson E.K. (2011). Chapter 25. Regulation of Renal Function and Vascular Volume. In L.L. Brunton, B.A. Chabner, B.C. Knollmann (Eds), Goodman & Gilman's The Pharmacological Basis of Therapeutics, 12e.